Flat capnogram found in A/E
1. Disconnection of anesthetic tubing
2. Accidental extubation
3. Mechanjca1 ventilation failure
4. Bronchospasm

Correct answer: 4. Bronchospasm

Explanation: in bronchospasm,there is prolonged expiratory upstroke(abscence of phase 3 plateau). in tube displacement,disconnection,accidental extubation,ventilation failure,it is flat.